Lactose fermentation is seen in?
1. Blood agar
2. Chocolate agar
3. MacConkey agar
4. LJ medium

Correct answer: 3. MacConkey agar

Explanation: MacConkey's medium which consists of peptone, lactose agar, neutral red, and taurocholate shows up lactose fermenters as pink colonies while nonlactose fermenters are colorless or pale. This may be also termed as indicator medium REF:Ananthanarayan & Panicker's Textbook of Microbiology 8th Edition pg no: 41